"Spongy appearance" with central sunburst calcification is seen in
1. >Pancreatic adenocarcinoma
2. Mucinous cyst adenocarcinoma
3. Somato statinoma
4. Serous cyst adenoma

Correct answer: 4. Serous cyst adenoma

Explanation: Serous cyst adenoma (Ref: Sutton Radiology, 7/e, p 793] "The serous cyst adenoma, or inicrocystic adenoma, is a benign tumor of elderly women, presenting with vague abdominal symptoms. A large calcified mass is often seen, with the calcification having a characteristic sunburst pattern within a central fibrotic scar". - Sutton Splenocolic ligament Small and large bowel mesentry Left broad ligament in women Left spermatic cord in men